A 30 year old female patient presents with non progressive dysphagia, for both solids and liquids. The characteristic finding on baruim swallow that will confirm the probable diagnosis is:
1. Dilated esophagus with narrow lower end (rat tail esophagus)
2. Multiple sacculations and pseudodiverticula (corkscrew esophagus)
3. Narrow and irregular esophageal lumen
4. Stricture ulcer in the esophagus

Correct answer: 2. Multiple sacculations and pseudodiverticula (corkscrew esophagus)

Explanation: The presence of non progressive dysphagia to both solids and liquids suggest the diagnosis of diffuse esophageal spasm. The characteristic barium swallow findings of sacculations and pseudodiverticula (corkscrew esophagus) is found in barium swallow. Ref: Harrison's Principles of Internal Medicine, 16th Edition, Page 1742; The Radiology Handbook: A Pocket Guide to Medical Imaging By J S Benseler, Page 139